The crystalline lens derives its nourishment from:
1. Blood vessels
2. Connective tissue
3. Aqueous and vitreous
4. Zonules

Correct answer: 3. Aqueous and vitreous

Explanation: Ans. is 'c' i.e. Aqueous & vitreous "After involution of the hyaloid blood supply to the lens, the metabolic needs of the lens are met by the aqueous and the vitreous humors." - Ophthalmology by Yanojf & DuckerLens is an avascular structure (neither it has nerve supply). It derives its nutrients from aqueous and vitreous humors (mainly aqueous humor)Its major metabolite is carbohydrate (glucose)Lens derives its energy from glucose through following pathways.1) Glycolytic pathway anaerobic pathway80% of glucose is metabolised through glycolysis and produces lactic acid as end product.Pentose or hexose monophosphate shunt anaerobic pathway15% of glucose is metabolised through HMP shuntKreb's citric acid cycle oxidative pathwayas the oxygen content of the lens is low, only 3-5% of glucose is metabolized aerobically by the TCA cycle.Also RememberAqueous humor of aphakic eye, when compared with phakic eye contains more glucose and less lactic acid.Nourishment of cornea cornea is another avascular structure of eye it derives its nutrition from 3 sources : oxygen directly from the air,solutes from the perilimbal capillaries and the aqueous humor.